Least common valve involved in rheumatic fever is
1. Aortic valve
2. Tricuspid valve
3. Mitral valve
4. Pulmonary valve

Correct answer: 4. Pulmonary valve

Explanation: Endocarditis in rheumatic feverMitral valve involved almost all the cases of Acute Rheumatic FeverAlmost 25% of MR is associated with aortic regurgitationTricuspid regurgitation is seen in 10-30% of casesPulmonary valve involvement is never seen(Refer: Nelson's Textbook of Pediatrics, SAE, 1st edition, pg no. 1333 - 1335)